The conduction velocity of C fibers is about: M/second
1. 2
2. 5
3. 10
4. All

Correct answer: 1. 2

Explanation: The conduction velocity of c type nerve fibers is about 2 M/second They are non myelinated and has least diameter Ref:Guyton and Hall textbook of medical physiology 12th edition,page number,: 73